In PCR, DNA polymerase is derived from?
1. Experimental E coli
2. Thermus aquaticus
3. Retroviruses
4. Bacteriophages

Correct answer: 2. Thermus aquaticus

Explanation: Ans. is 'b' i.e., Thermus acquaticus PCR is a method of enzymatic amplification of a target sequence of DNA. It is sensitive, selective (specific) and extremely rapid means of amplifying any desired sequence of double stranded DNA, which can be as short as 50-100 base pairs (bp) and as long as 10 kbp. In PCR, the DNA to be amplified is replicated by DNA polymerase of Thermus aquaticus (Taq). Taq polymerase is used because it is thermostable, not denatured at a temperature upto 95degC (in PCR DNA is to be heated to 94deg-95deg C for separation of strands).